If an osseous fill procedure is successful, the type of bone formed in the defect is?
1. Cancellous
2. Bundle
3. Spongy
4. None of the above

Correct answer: 2. Bundle